Capsulated organism includes?
1. Histoplasma capsulatum
2. Cryptococcus neoformans
3. Neisseria gonorrhoeae
4. All the above

Correct answer: 2. Cryptococcus neoformans

Explanation: It is the only basidiomycetous yeast which is pathogenic. It is characterised by thick polysaccaride capsule which is stained by India ink. In culture, Cryptococcus species produce whitish mucoid colonies within 2-3 days. Microscopically, in culture or clinical material, the spherical budding yeast cells (5-10 m in diameter) are surrounded by a thick non staining capsule. All species of Cryptococcus, including several non pathogenic species, are encapsulated and possess urease. However, C neoformans and C gattii differ from nonpathogenic species by the abilities to grow at 37degC and the production of laccase, a phenol oxidase, which catalyzes the formation of melanin from appropriate phenolic substrates (eg, catecholamines). Both the capsule and laccase are well-characterized virulence factors. Ref: Brooks G.F., Carroll K.C., Butel J.S., Morse S.A., Mietzneron T.A. (2010). Chapter 45. Medical Mycology. In G.F. Brooks, K.C. Carroll, J.S. Butel, S.A. Morse, T.A. Mietzneron (Eds), Jawetz, Melnick, & Adelberg's Medical Microbiology, 25e.